In tissue, Coccidioides immitis produces:
1. Spherules and endospores
2. Encapsulated yeast cells
3. Fine, delicate hyphae
4. Coarse, septate hyphae

Correct answer: 1. Spherules and endospores

Explanation: Ans. is 'a' i.e., Spherules and endospores(Ref: Ananthanarayan, 8th/e, p. 611, 612; Harrison, 18th/e, p. 1643, 17th/e, p. 1244)C. imitis reproduces in host tissue by forming small endospores within mature spherules.